Growth hormone is also known as:
1. Somatotropin
2. Somatostatin
3. Somatocrinin
4. Somatomedin

Correct answer: 1. Somatotropin